Which of the following is NOT a type of mixed dentition analysis?
1. Moyer's
2. Tanaka Johnston
3. Pont & Linderharth
4. Hixon old father

Correct answer: 3. Pont & Linderharth